Which of the following helps in generating reactive O2 intermediates in the neutrophils
1. NADPH - Oxidase
2. SOD (Superoxide dismutase)
3. Catalase
4. Glutathione peroxidase

Correct answer: 1. NADPH - Oxidase

Explanation: Within the phagocytes, the initiating enzymes for this process in NADDH Oxidase (also called respiratory burst Oxidase)
Glutathione peroxidase, glutathione reductase and superoxide alimutase are examples of anti oxidants. They reduce free radical formation.